Which one of the following is not an ionizing radiation?
1. Infrared radiation
2. X-rays
3. Gamma rays
4. Consmic rays

Correct answer: 1. Infrared radiation

Explanation: Ionising radiation is applied to radiation which has the ability to penetrate tissues and deposit its snergy within them.Includes - electro magnetic radiations(X rays ,gamma rays,) -corpuscular radiations (alpha particles,beta particles and protons) Non ionising radiation refers to electromagnetic radiations of wavelength longer than ionising.Include UV rays,visible light, IR rays,microwavecradiation. Parks textbook of preventive and social medicine.K Park. Edition 23.page no:744